An obese woman with type 2 diabetes and hypertension is diagnosed with endometrioid type of endometrial carcinoma. The most likely gene defect in this patient is
1. P53
2. PTEN
3. MSH2
4. BRCA2

Correct answer: 2. PTEN

Explanation: Type 1 endometrial cancer is associated with PTEN gene. Type 2 endometrial cancer is associated with p53 gene mutation. Type 1 Endometrial cancer Type 2 Endometrial cancer 55-65 years 65-75 years Unopposed estrogen Obesity Hypertension Diabetes Atrophy Thin physique Endometroid Serous clear cell Hyperplasia Serous endometrial intraepithelial carcinomas Indolent Aggressive